Prozone phenomenon is seen with -
1. Same concentration of antibody and antigen
2. In antigen excess to antibody
3. Antibody excess to antigen
4. Hyperimmune reaction

Correct answer: 3. Antibody excess to antigen

Explanation: Ans. is 'c' i.e., Antibody excess to antigen Zone phenomenono The amount of precipitate formed is greatly influenced by the relative proportions of antigens and antibodies.o Precipitation occurs most rapidly and abundantly in the zone of equivalence in which the antigen and antibody are present in optimal proportions.o If increasing quantities of antigens are added to the same amount of antiserum in different tubes and the amounts of precipitate in different tubes are plotted on a graph, the resulting curve will have three phases :